Which passive movement causes pain in deep posterior compartment syndrome?
1. Foot abduction
2. Dorsiflexion of foot
3. Plantar flexion of foot
4. Foot adduction

Correct answer: 2. Dorsiflexion of foot

Explanation: Dorsiflexion of foot Compartment syndrome (CS) occurs whenever increased tissue pressure in a myofascial compartment compromises blood flow to the muscles and nerves within that compartment, resulting in tissue and nerve damage. The compartments of the lower leg and the volar forearm are particularly prone to developing elevated compartment pressures.Two types of CS have been identified, acute and chronic.Acute CS typically occurs subsequent to a traumatic event, most commonly fractures. Symptoms worsen acutely, and irreversible nerve injury and muscle necrosis occur within hours.Chronic CS (also known as chronic exertional CS, exertional CS, recurrent CS, or subacute CS) is a recurrent syndrome that occurs with exercise or work.Relevant Anatomy There are 4 osteofascial compartments of leg enclosed by the unyielding deep fascia and separated from each other by the bones of die leg and interosseeous membrane and by the anterior and posterior intermuscular septa. Each ofthe compartments is "sealed" spaces containing muscles, arteries, and nerves.Anterior or extensor compamento Dorsiflexor muscles of the ankle and footTibialis anterior- Extensor digitorum longus- Extensor hallucis longus- Peroneus teiuso Anterior tibial artery - Commonly injured in lateral tibial plateau fractureso Deep peroneal nerve - Provides sensation to the first dorsal web spaceLateral compamento Peroneus (fibularis) brevis and peroneus (fibularis) longus - Plantar flexor and evertor muscles of the foot o Superficial peroneal nerve - Provides sensation to the dorsum of the footDeep posterior compamento Plantar flexor and phalangeal flexor muscles- Tibialis posterior- Flexor digitorum longus (FDL)- Flexor hallucis longus(and Popliteus, which acts on the,knee joint)o Posterior tibial and peroneal arterieso Posterior tibial nerve - Provides sensation to the sole of the footSuperficial posterior compamento Plantar flexor muscles of the foot- Gastrocnemius- Plantaris- Soleuso Sural nerveAcute compartment syndromes are medical emergencies that may require immediate surgical treatment. Acute compartment syndromes are usually the result of a traumatic incident. The swelling from the contusion causes the increased pressure in the compartment. These injuries are most often seen in the emergency room and are not athletic injuries.Chronic CS is seen more often in the athletic community. Diagnosing this injury is one of exclusion. A complete examination should rule out medial tibial stress syndrome, stress fractures, and Achilles tendon injuries.The athlete presents with pain that is present during weight bearing training. Activities such as running, stair climbing, and jumping are the most common offenders.There will be pain on passive stretch of the muscles of the compartment.So in the: Deep posterior compartment syndrome- there will be pain on passive dorsiflexion of the foot and on toeextension (since muscles in the deep post compartment are plantar flexors and phalangeal flexors )Anterior compartment syndrome- there will be pain on passive plantar flexion of the foot and toe flexion.Lateral compartment syndrome- there will be pain on passive foot inversion.Superficial posterior compartment syndrome- pain is on passive dorsiflexion of foot.Definitive diagnosis of a chronic CS can be made with an intracompamental pressure test. A catheter is inserted into the offending compartment to measure its pressure.Once the diagnosis is confirmed with a positive compartment measurement, a treatment course is to be chosen. Conservative treatment is the first option. Rehabilitation should include: low impact cross training, flexibility training, appropriate strength training for weakened muscles, and/or the use of ohotics to correct biomechanical abnormalities.If conservative treatment fails, surgical intervention in the next step. Afasciotomy is the procedure of choice.